A lady or 150 cm height with Hb of 11gm%, of 160/110 mm Hg and 12 kg gain during her pregnancy delivered an IUGR baby, the causes in this cases are :
1. Maternal infection
2. Short stature
3. HTN
4. RTT Weight gain

Correct answer: 3. HTN

Explanation: Ans. is c i.e. HTN (hypertension) Friends, It is a tricky question which needs only common sense. Answer is hidden in the question itself. So, lets read the question once again and rule out each option one by one. The lady in our question is of 150cm height (- 5 feet). "While an arbitrary measurement of 5ft. is considered as short stature in western countries, it is 4'7" in India considered the low average height."